Which of the following is classified under Grade II acute cholecystitis according to the Tokyo Consensus Guidelines?
1. Presence of multiorgan dysfunction
2. WBC count > 11000/mm3
3. Mild local inflammation
4. Duration of complaints >72 hours

Correct answer: 4. Duration of complaints >72 hours

Explanation: Tokyo Consensus Guidelines for severity grading of acute cholecystitis: Grade I (mild) acute cholecystitis Acute cholecystitis in a healthy person with no organ dysfunction and mild inflammatory changes in the gallbladder Grade II (moderate) acute cholecystitis Associated with any one of the following:1. Elevated WBC count (>18000/mm3)2. Palpable tender mass in the right upper abdominal quadrant3. Duration of complaints >72 hours4. Marked local inflammation (gangrenous cholecystitis,pericholecystic abscess, hepatic abscess, biliary peritonitis,emphysematous cholecystitis) Grade III (severe) acute cholecystitis Associated with any one of the following: 1. CVS dysfunction- Hypertension requiring treatment with dopamine/norepinephrine 2. Neurological dysfunction- Decreased level of consciousness 3. Respiratory dysfunction- PaO2/FiO2 ratio <300 4. Renal dysfunction- Oliguria; creatinine >2.0mg/dL 5. Hepatic dysfunction- PT-INR >1.5 6. Haematological dysfunction- Platelet count <100000/mm3